License to blood bank is given by -
1. Drugs controller general of India
2. Director general of health services
3. Director general, Indian council of medical research
4. Director general of blood bank services

Correct answer: 1. Drugs controller general of India

Explanation: Ans. is 'a' i.e., Drugs controller general of India o License from food and drugs control administration (FDA) is a must for operating blood bank. o The drugs controller Genera! (India) is the central License approving authority. o On the other hand, regulatory control remains under the dual authority of the state and the central Government.